Which of the following hormones increase during sleep?
1. Insulin
2. ACTH
3. GH
4. Glucocorticoid

Correct answer: 3. GH

Explanation: Ans: C (GH) Ref: Pal GK. Pituitary Gland: The Anterior Pituitary, In: Textbook of Medical Physiology, Ahuja Publishing House 2007: 44:328,336Explanation:70% of total 24 hours GH secretion occurs during sleep. Adequte sleep promotes growth.ACTH - 75% of daily secretion occurs in early morning.Insulin secretion is mainly decided by glucose uptake and its plasma concentration.Glucocorticoid secretion follows the ACTH pattern.